At what age baby with congenital hypertrophic pyloric stenosis show symptoms
1. At the time of birth
2. First week
3. 3rd to 4th week
4. Second month

Correct answer: 3. 3rd to 4th week

Explanation: Baby show the symptoms of projectile vomiting, olive shaped mass and visible peristalsis